A newborn was admitted in an ICU for difficulty in breathing at the time of birth. On the 5th day, he became lethargic and unable to feed. The total counts increased with predominant polymorphs. Blood culture yielded growth of LF Mucoid colonies on MacConkey agar. What will be the probable cause of infection?
1. E. coli
2. Hemophilus
3. Strept. pneumoniae
4. Klebsiella

Correct answer: 4. Klebsiella

Explanation: Klebsiella will be the probable cause of infection. With the above symptoms, the probable diagnosis is neonatal sepsis. Option 4 Klebsiella pneumoniae produces LF mucoid colonies on MacConkey agar (refer to the image below) and is among the common causes of neonatal septicemia. - Nonmotile, lactose fermenter (LF). - Capsulated, produce mucoid colonies. -Indole negative and Urease positive. -It causes pneumonia, UTI, abdominal, wound and surgical site infection. - K.ozaenae: It causes ozaenae (foul smelling nasal discharge)/atrophic rhinitis. Option 2 Hemophilus: Doesn't grow on MacConkey agar. Fastidious bacteria therefore, grows only on chocolate agar. Option 3 Strept. pneumoniae: Doesn't grow on MacConkey agar as it contains bile salts which inhibits the growth of gram positive cocci. Option 1 E. coli: LF and non mucoid colonies on MacConkey agar.